Intake of exogenous steroid causes.
1. Addison's disease
2. Cushing's syndrome
3. Pheochromocytoma
4. Conn's syndrome

Correct answer: 2. Cushing's syndrome

Explanation: Ans is option 2. Cushing's syndrome The most common cause of Cushing's syndrome is iatrogenic administration of steroids for a variety of reasons. Ref Harrison 17/e p. 2254-2255